Cereals are deficient in?
1. Alanine
2. Lysine
3. Methionine
4. Cysteine

Correct answer: 2. Lysine

Explanation: ANSWER: (B) LysineREF: Park 20th edition page 542Cereals are deficient in essential amino acid lysine, maize also being deficient in tryptophan.